Calcium channel blockers used in HTN are all except:
1. Amlodipine
2. Clevidipine
3. Captopril
4. Nifedipine

Correct answer: 3. Captopril

Explanation: Captopril is an ACE inhibitor- prototype ACE inhibitor all others mentioned in options are calcium channel blockers- all are dihydropyridines (Ref- Essentials of medical pharmacology K D TRIPATHI 8th Edition)